Most common malignancy affecting spleen is -
1. Angiosarcoma
2. Hamartoma
3. Secondaries
4. Lymphoma

Correct answer: 4. Lymphoma